A 55-year-old male has a complaint of left-sided maxillary tooth pain. A dental examination reveals no abnormalities of his teeth. During physical examination tapping on his right maxilla elicits sharp pain on the right side of his face. The patient reports that he has no allergies. Which of the following conditions will be the most likely diagnosis?
1. Sphenoid sinusitis
2. Anterior ethmoidal sinusitis
3. Posterior ethmoidal sinusitis
4. Maxillary sinusitis

Correct answer: 4. Maxillary sinusitis

Explanation: Maxillary sinusitis is an infection of the maxillary sinus, which is located in the body of the maxillary bone. Sharp pain can be a major symptom of maxillary sinusitis. The difference between the remaining answer choices is the location of the sinus. The sphenoid sinus is located in the posterior nasopharynx. The ethmoid sinuses are located laterosuperiorly to the nasal septum. The frontal sinus is located in the frontal bone in the anterior part of the face.